Pulsatile otorrhoea is seen in:
1. Glomus tumour
2. CSF otorrhea
3. ASOM
4. Fistula

Correct answer: 3. ASOM

Explanation: Ans. C ASOMASOM -In stage of suppuration-pulsatile otorrhea is present .Light house sign: Seen in ASOM when pulsatile otorrhea reflects light intermittently on-otoscopy